Koebner's phenomenon seen in -
1. Psoriasis
2. Lichen nitidus
3. Vitiligo
4. All the above

Correct answer: 4. All the above

Explanation: Ans. is 'd' i.e., All the above Koebner phenomenonThe development of lesions in previously normal skin that has been subjected to trauma. The response should be reproducible and not limited to one type of trauma.The term Koebner response is best not used when a dermatosis occurs resulting from the spread of an infective agent (e.g. molluscum contagiosum or warts); for this phenomenon, the term pseudo-Koebner could be used.In the 'reverse' Koebner response, trauma to a lesion results in it resolving.Diseases showing the Koebner responseo Darier's diseaseo Necrobiosis lipoidicao Erythema multiformeo Perforating collagenosis and folliculitiso Hailey-Hailey diseaseo Psoriasiso Leukaemiao Myxoedemao Lichen planuso Vasculitiso Lichen sclerosuso Vitiligoo Scleromyxoedemao Xanthomao Multicentric reticulohistiocytosis